Screening test for vitamin D deficiency is
1. 7-dehydrocholestrol
2. 1,25 dihydroxy vitamin D
3. 25 hydroxy vitamin D
4. Serum calcium levels

Correct answer: 3. 25 hydroxy vitamin D

Explanation: Total serum 25-hydroxyvitamin D (the major form of vitamin D that circulates in the body) is used for screening.Recently USPSTF (US preventive services task force) concluded that the evidence on screening for vitamin D deficiency in asymptomatic adults to improve health outcomes is insufficient